Gingival recession due to friction from soft tissues is known as:
1. Gingival ablation
2. Frictional ablation.
3. Both
4. None of the above.

Correct answer: 1. Gingival ablation